Which of the following bases are contra indicated under
a composite resin restoration:
1. Calcium hydroxide
2. Eugenol base
3. Zinc phosphate cement
4. None of the above

Correct answer: 2. Eugenol base